Apple peel bowel with loss of dorsal mesentry is a feature of which type of ileal atresia
1. Type 1
2. Type 2
3. Type 3
4. Type 4

Correct answer: 3. Type 3

Explanation: Type 1- mucosal Web or diaphragm Type 2- with an atretic cord between two blind ends of bowel with intact mesentry Type 3a - complete seperation of blind ends of bowel by a V shaped mesenteric gap Type 3b- An apple peel or Christmas tree deformity with a large mesentric gap Type 4- multiple atresia with a string of sausage appearance Ref: Sabiston 20th edition Pgno : 1871